Rain drop pigmentation is caused by ?
1. Clofazimine
2. Dapsone
3. Minocycline
4. ArsenicHomosexual

Correct answer: 4. ArsenicHomosexual

Explanation: Ans. is 'd' i.e., ArsenicHomosexual